HbE is common in
1. Punjab
2. Kerala
3. Bengal
4. Maharstra

Correct answer: 3. Bengal

Explanation: Ans. is 'c' i.e., Bengal o Besides hemoglobin S, there are other hemoglobinopathies due to point mutation in beta globin chain of hemoglobin. o These are ? 1) Hemoglobin C --> Seen in italians and black. 2) Hemoglobin E --> Prevalent in Bengal, Assam and in East India. 3) Hemoglobin D Prevalent in Punjabis and Gujaratis.